Pulmonary function abnormalities in interstitial lung disease include all of the following except -
1. Reduced vital capacity
2. Reduced FEV1/FVC ratio
3. Reduced diffusion capacity
4. Reduced total lung capacity

Correct answer: 2. Reduced FEV1/FVC ratio

Explanation: Interstitial lung disease is a restrictive lung disease. In a restrictive lung disease, lung compliance or expansibility is decreased. Hence, vital capacity is reduced. Total lung capacity will also decrease. Diffusion capacity of respiratory membrane is reduced as the diffusion distance is increased in interstitial lung disease. Since VC is reduced, FEV1/FVC ratio is increased.